Fat necrosis is common in
1. Omentum
2. Breast
3. Retroperitoneal fat
4. All of the above

Correct answer: 4. All of the above

Explanation: Fat necrosis found in breast(traumatic fat necrosis), fat deposits throughout peritonial cavity(omentum, retroperitoneum).(Ref: Textbook of Pathology HARSH MOHAN 6th Edition page no.45)